Ulipristal acetate is a:
1. GnRH agonist
2. Selective progesterone receptor modulator
3. Androgen antagonist
4. Selective estrogen receptor modulator

Correct answer: 2. Selective progesterone receptor modulator

Explanation: Ulipristal Synthetic progesterone hormone receptor modulator Attaches to progesterone receptor and prevents/delays ovulation and suppresses endometrium,prevents implantation. Although not approved for its use in India, it is being tried for its role in medical management of fibroid uterus and as an emergency contraceptive